Sporicidal disinfectant is following except -
1. Glutaraldehyde
2. Formaldehyde
3. Ethylene oxide
4. Benzalkonium chloride

Correct answer: 4. Benzalkonium chloride